The electron flow in Cytochrome C oxidase can be blocked by:
1. Rotenone
2. Antimycin-A
3. Cyanide
4. Actinomycin

Correct answer: 3. Cyanide

Explanation: C i.e. Cyanide